If diameter of a vessel is increased double -
1. Blood flow increases four fold
2. Blood flow decreases four fold
3. Blood flow increases sixteen-fold
4. Blood flow decreases sixteen-fold

Correct answer: 3. Blood flow increases sixteen-fold

Explanation: Ans. is 'c' i.e., Blood flow increases sixteen-fold Poiseuille's Law (Hagen-Poiseille's law) o The Poiseuille's equation states that: -Where Q is the rate of flow. (Pl - P2) is the pressure difference across the vessel (provided P1 > P2), n is the viscocity of blood, r is the radius and L the length of the tubeo If everything else remains constant, blood flow is directly poroportional to 4th power of radiuso Thus, if the diameter (or radius) is increased to to double, blood flow will increase 16 times.